In Mesial Temporal Lobe Epilepsy responds best to which treatment:
1. Valproic Acid
2. Lamotrigine
3. Rufinamide
4. Surgery

Correct answer: 4. Surgery

Explanation: Ans. D. SurgeryEpilepsy SyndromesEpilepsy syndromes are disorders in which epilepsy is a predominant feature and there is sufficient evidence to suggest a common underlying mechanism.Causes - Developmental ab normal. Perinatal hypoxia/ ischemia, trauma, infection. Response to therapy is poor.1. Mesial Temporal Lobe Epilepsy - H/O febrile seizure. Family h/o positive. Complex partial seizure.Poor response to therapy. Characteristic hippocampal sclerosis. Surgery is curative.